Cervical myoma is
1. Multiple growths
2. Solitary growth
3. Mostly large always
4. Mainly arise from cervical stroma

Correct answer: 2. Solitary growth

Explanation: Cervical stroma being poor in smooth muscle fibers, majority of myoma arise from isthumus of uterus.
In contrast to uterine myomas, cervical myoma is usually solitary.